What is the IUCD of choice in women with menorrhagia?
1. Lippe's loop
2. Copper-T 200
3. Copper-T 380A
4. Progesterone containing IUCD

Correct answer: 4. Progesterone containing IUCD

Explanation: The hormonal devices would be particularly valuable for women in developing countries in whom excess blood loss caused by inert devices have been shown to result in significant anaemia. Reference:Park's textbook of preventive and social medicine,K.Park,23rd edition,page no:496.